A 30 year old male presents with severe pain chest, breathlessness, hypotension and ECG shows ST elevation in V3, V4 V5 and V6 leads. He will be best treated with:
1. Streptokinase
2. t-PA
3. Heparin
4. PTCA

Correct answer: 4. PTCA

Explanation: Percutaneous transluminal coronary angioplasty (PCTA or angioplasty) is a procedure that is commonly performed on people with heart disease. This procedure is done to open up the blood vessel to allow the blood to pass through more easily PTCA is a minimally invasive procedure to open up blocked coronary arteries, allowing blood to circulate unobstructed to the heart muscle. The indications for PTCA are: Persistent chest pain (angina) Blockage of only one or two coronary arteries Ref Davidson edition23rd pg 460